In Marshall - Marchetti - Krantz (MMK) colposuspension for stress urinary incontinence, Pubocervical fascia is attached to
1. Cooper Ligament
2. Symphysis pubis
3. Inguinal Ligament
4. Pectineal Ligament

Correct answer: 2. Symphysis pubis

Explanation: Pubocervical fascia is attached to symphysis pubis in MMK colposuspension repair for stress urinary incontinence.